True about cadaveric spasm-a) Develops immediately after deathb) May develop hours after deathc) Develops only in facial musclesd) Involves individual/small group of muscles
1. b
2. ad
3. ac
4. ab

Correct answer: 2. ad